Tonsillectomy is done after........weeks of attacks of quinsy:
1. 2
2. 4
3. 6
4. 12

Correct answer: 3. 6

Explanation: Ans: c (6)Ref: Dhingra E.N.T. 3rd/e p. 319 & 2nd/e p. 262